Which among the following is the most important preventive strategy of penile cancer?
1. HPV vaccination
2. Condom use
3. Neonatal circumcision
4. Cessation of smoking

Correct answer: 3. Neonatal circumcision

Explanation: With respect to penile cancer, neonatal circumcision and good hygiene to prevent phimosis represent the most important prevention strategies. HPV vaccination has a role in preventing transmission of HPV between males and females and thereby decreasing the risk of penile cancer. The efficacy for prevention of HPV-associated penile lesions is lesser. Condom use is effective in preventing the spread of sexually transmitted infections, including HPV. Less significant in developing penile cancer. There is an association between tobacco use and penile, as well as other HPV-associated anogenital cancers. The precise role of tobacco in penile carcinogenesis has not been defined. Ref: Pagliaro L.C. (2011). Chapter 35. Penile Cancer. In H.M. Kantarjian, R.A. Wolff, C.A. Koller (Eds), The MD Anderson Manual of Medical Oncology, 2e.